Dalen fuch's nodule is seen in -
1. Sympathetic ophthalmitis
2. Myopia
3. Retinal detachment
4. Spring catarrh

Correct answer: 1. Sympathetic ophthalmitis

Explanation: Dalen-Fuch's nodules are characteristic of sympathetic ophthalmitis.